All are true about Bullous keratopathy except -
1. See in Macular dystrophy
2. Treatment is keoplasty
3. Lenses can be prescribed for such patients
4. Seen in Fuch's dystrophy

Correct answer: 1. See in Macular dystrophy

Explanation: It is seen in fuch's dystrophy.Stage of bullous keratopathy,this stage follows long-standing stromal oedema and is characterised by marked epithelial oedema with formation of bullae, which when rupture cause pain, discomfort and irritation with associated decreased visual acquity.Reference:Comprehensive ophthalmology,AK Khurana,4th edition,page no.119